Ectopic mucosa of Meckel's Diverticula is diagnosed by
1. Tc-99m radionuclide scan
2. Angiography
3. CT
4. Endoscopy

Correct answer: 1. Tc-99m radionuclide scan

Explanation: The 99mTc- pertechnetate is preferentially taken up by the mucus secreting cells of the gastric mucosa and ectopic gastric tissue in the Diverticula. It is less accurate in adults because of reduced prevalence of ectopic gastric mucosa. The sensitivity and specificity can be improved by pentagastrin and glucagon or H2-receptor antagonists(cimetidine). Ref: schwartz's principle of surgery 10th edition Pgno : 1164